Which of the following muscle is not in the pectoral region?
1. Pectoralis major
2. Infraspinatus
3. Pectoralis minor
4. Subclavius

Correct answer: 2. Infraspinatus

Explanation: Muscles of pectoral region:- Pectoralis major , pectoralis minor , subclavius and serratus anterior. Largest muscle of pectoral region- pectorals major. Key muscle- pectoralis minor. Infraspinatus- muscle of scapular region. {Reference: vishram singh, page no.40, chapter 3}